All are true about facial colliculus EXCEPT
1. Raised by axons of facial nerve (internal genu)
2. Abducent nucleus lies deep to it
3. Located at the floor of fourth ventricle
4. Present on the dorsal aspect of upper pons

Correct answer: 4. Present on the dorsal aspect of upper pons

Explanation: Facial colliculus is present on the dorsal aspect of lower (not upper) pons. It is raised by axons of facial nerve (internal genu) It is located in the floor of fourth ventricle. Abducent nucleus (6th N. ) lies deep to it.